Which of the following is the largest and most important muscle in the pelvic floor?
1. Coccygeus
2. External anal sphincter
3. Levator ani
4. Obturator internus

Correct answer: 3. Levator ani

Explanation: The pelvic floor is formed by the large levator ani (with parts including the pubococcygeus, puborectalis, and iliococcygeus) and the much smaller coccygeus. The small external anal sphincter lies below the levator ani and is not technically part of the pelvic floor. The obturator internus is in the lateral wall of the pelvis. Ref: Hoffman B.L., Schorge J.O., Schaffer J.I., Halvorson L.M., Bradshaw K.D., Cunningham F.G., Calver L.E. (2012). Chapter 38. Anatomy. In B.L. Hoffman, J.O. Schorge, J.I. Schaffer, L.M. Halvorson, K.D. Bradshaw, F.G. Cunningham, L.E. Calver (Eds), Williams Gynecology, 2e.